Most common presentation of Basal cell carcinoma of Lid
1. Noduloulcerative
2. Nonulcerative nodular
3. Sclerosing type
4. Pigmented bcc

Correct answer: 1. Noduloulcerative

Explanation: M/c - Noduloulcerative
M/c histological pattern is solid basal cell carcinoma with characteristic peripheral palisaded appearance.